The so-called "pseudo-H zone" in a sarcomere is:
1. M line plus lighter areas on its either side
2. Not seen normally in a sarcomere
3. Seen only in an extremely contracted state of a muscle
4. Disappearance of H band during contraction

Correct answer: 1. M line plus lighter areas on its either side

Explanation: At the very center of the sarcomere, there is H-zone (the gap between the ends of the thin filaments). The dark line at the center of the H-zone is called M-line. This dark M-line plus the light areas on either side constitutes the pseudo-H zone.